Which of the following is first line vasopressor in case of cardiogenic shock?
1. Epinephrine
2. Nor-epinephrine
3. Dopamine
4. Dobutamine

Correct answer: 2. Nor-epinephrine

Explanation: No vasopressor has been demonstrated to change outcome in large clinical trials. Norepinephrine is first line vasopressor for cardiogenic shock.It has less adverse events like arrythmias. Dopamine should be avoided as first line therapy for cardiogenic shock. Dopamine causes hemodynamic changes according to the dose used -->proarrythmogenic effects. Dobutamine have positive inotropic effect but its vasodilatory action limits its use whenever vasoconstriction effect is required.